A Central midline neck swelling is noted in a 4 yr old girl posted for tonsillectomy. The swelling is, painless. mobile, and cystic, just below the hyoid bone of size 2x1.1x1cm. U/S showed a thick walled cystic lesion. Management would include
1. Surgical removal
2. Antibiotics
3. Percutaneous aspiration
4. Chest X-ray

Correct answer: 1. Surgical removal

Explanation: Mid line cystic swelling, mostly just below hyoid is thyroglossal cyst. Treatment is surgical removal (Sistrunk operation).